Which of the following substance can be used as an antidote to fibrinolytics?
1. Epsilon Amino Caproic Acid
2. Protamine
3. Alteplase
4. Dabigatran

Correct answer: 1. Epsilon Amino Caproic Acid

Explanation: Ans. (A) Epsilon amino caproic acid(Ref: KDT 8/e p676)Epsilon amino caproic acid (EACA) and tranexamic acid are used as antidote to fibrinolytic drugs like streptokinase.